Quinsy is also known as
1. Peritosillar abscess
2. Retropharyngeal abscess
3. Parapharyngeal abscess
4. Paraepiglottic abscess

Correct answer: 1. Peritosillar abscess

Explanation: The medical term for quinsy is peritonsillar abscess. It's an uncommon complication of tonsillitis that can happen when a throat abscess develops after infection spreads from the tonsils. If the abscess grows large enough, it can block the airways, causing breathing difficulties, so it's important it's treated early. What are the symptoms of Quinsy? The main symptom is a sore throat that gets gradually worse, usually only on one side. Other symptoms include: Fever (temperature of 38degC or above) difficulty or pain on swallowing 'hot potato' voice, sounding as though you're speaking with a - hot potato in your mouth difficulty opening your mouth bad breath earache headache swelling on the affected side dehydration because of difficulty swallowing